In Indoor air pollution, carbon monoxide is produced by –
1. Combustion equipment
2. Stove
3. Gas heaters
4. All of the above

Correct answer: 4. All of the above